1st evidence of calcification of Upper 1st premolar is seen in
1. at birth
2. 1-1 ½ year
3. 4 year
4. 2 years

Correct answer: 2. 1-1 ½ year